Which of the following phrases best describes restriction enzymes?
1. Site-specific endonucleases.
2. Enzymes that regulate RNA.
3. Nonspecific endonucleases.
4. Topoisomerases.

Correct answer: 1. Site-specific endonucleases.

Explanation: Restriction enzymes are also known as restriction endonucleases. These enzymes cleave DNA at specific sites to release fragments of DNA for further analysis and characterization by complementary probes.